Wax used in inlay cast metal fabrication
1. Casting wax
2. Inlay wax
3. Sticky wax
4. Utility wax

Correct answer: 2. Inlay wax